Giving commission to other doctor is -
1. Dichotomy
2. Covering
3. Professional secrecy
4. Professional neglect

Correct answer: 1. Dichotomy